The largest permanent tooth in the mouth usually is:
1. Maxillary canine
2. Mandibular canine
3. Mandibular first molar
4. Maxillary first molar

Correct answer: 4. Maxillary first molar